Classification of staphylococcus is based on -
1. Catalase test
2. Coagulase test
3. Mannitol fermentation
4. Optochin sensitivity

Correct answer: 2. Coagulase test

Explanation: Ans. is 'b' i.e., Coagulase test * Medically important staphylococci that causing human disease are divided into two groups1. Coagulase positive: Staphylococcus aureus.2. Coagulase negative: Staphylococcus epidermidis, Staphylococcus haemolyticus, Staphylococcus saprophyticus.